What is prodrug
1. Inactive drugs convert into active metabolites
2. Active drugs converts into inactive metabolite
3. Measure of the amount of drug necessary to produce an effect of a given magnitude
4. Bind to a receptor and elicit a biologic response

Correct answer: 1. Inactive drugs convert into active metabolites

Explanation: A. i.e. (Inactive drug convert into active metabolites) (23- 24- KDT 6th)Few drugs are inactive as such and need conversion in the body to one or more active metabolites. Such a drug is called PRODRUGAdvantages1. More stable2. Better bioavailability3. Less side effects and toxicityPOTENCY - a measure of the amount of drug necessary to produce an effect of a given magnitude* EC50 is the concentration of the drug that produce a response equal to 50% of the maximal response* The potency of the drug can be compared using EC50, the smaller the EC50, the more potent the drug